True about epidural opioids are all except?
1. Act on dorsal horn substantia gelatinosa
2. Can cause Itching
3. Function of the intestine is not affected
4. Can cause respiratory depression

Correct answer: 3. Function of the intestine is not affected

Explanation: Epidural opiate administration is routinely used by many anaesthesiologists involved in obstetric anaesthesia. Epiduralinjection of a local anaesthetic combined with an opioid generates a more rapid onset of more profound analgesia with little motor blockade. Thus pain relief lasts longer than after either drug alone. Ref: KD Tripathi 8th ed.